A 10-year-old boy developed hoarseness of voice following an attack of diphtheria. On examination, his right vocal cord was paralyzed. The treatment of choice for paralyzed vocal cord will be
1. Gel foam injection in right vocal cord
2. Fat injection in right vocal cord
3. Thyroplasty Type-I
4. Wait for spontaneous recovery of vocal cord

Correct answer: 4. Wait for spontaneous recovery of vocal cord

Explanation: Generally, no treatment is required as compensation occurs due to the opposite healthy cord. Temporary paralysis recovers in 6-12 months and it is advisable to wait. However, injection of gelfoam or fat can be used to improve the voice in the waiting period. Ref: PL Dhingra Textbook of Ear, Nose and Throat, Edition 7, page - 338